Anterior ethmoidal artery closely related to which of the following structures in the anterior ethmoidal canal?
1. Recurrent laryngeal nerve
2. Nasociliary nerve
3. Optic nerve
4. Posterior ethmoidal artery

Correct answer: 2. Nasociliary nerve

Explanation: The anterior ethmoidal artery accompanies the nasociliary nerve through the anterior ethmoidal canal, supplies the anterior and middle ethmoidal cells and frontal sinus, and after entering the cranium, gives off a meningeal branch to the dura mater, and nasal branches.